Which of the following is not a component of Glasgow Coma Scale?
1. Eye opening
2. Motor response
3. Pupil size
4. Verbal response

Correct answer: 3. Pupil size

Explanation: Ans. is 'c' i.e. pupil size